Most common dose limiting adverse effect of colchicine is :
1. Sedation
2. Kidney damage
3. Diarrhea
4. Muscle paralysis

Correct answer: 3. Diarrhea